A young nulliparous woman has 3rd degree uterovaginal prolapse without any cystocele or rectocele. There is no stress incontinence. Uterocervical length is 3 inches. All other symptoms are normal. The best treatment plan for her will be:
1. Observation and reassurance till child bearing is over
2. Shirodkar's vag'nal repair
3. Shirodkar's abdominal sling
4. Fothergill's operation

Correct answer: 3. Shirodkar's abdominal sling

Explanation: Prolapse in a young nulliparous female is seen in case of congenital prolapse.
Risk factors for congenital prolapse:


Spina bifida
Connective tissue disorders like Marfans syndrome, Ehler Danlos syndrome


Cystocele is not seen in congenital prolapse and in congenital prolapse there is infravaginal elongation of cervix (not supravaginal which is usually seen).

Management of congenital prolapse is:
Abdominal sling surgeries/ cervicopexy Like

Purandare sling/ cervicopexy
Shirodkar sling Surgeries
Virkud Sling
Performed through abdominal route               
The sling is generally made of mersilene tape